Nail deformity commonly seen in lichen planus are all of the following except:
1. Pterygium
2. Longitudnal grooves
3. Oncholysis
4. Beau's lines

Correct answer: 4. Beau's lines

Explanation: Ans. D: Beau's lines Lichen planus affects one or more nails in 10% of cases, sometimes without involving the skin surface - if all nails are abnormal and nowhere else is affected it is called twenty nail dystrophy. The nail plate tends to thin and may become longitudinally grooved and ridged. The nail may darken, thicken up or lift off the nail bed (onycholysis). Sometimes the cuticle is destroyed and forms a scar (pterygium)-diagnostic. The nails may shed, stop growing altogether and rarely, completely disappear. Beau's lines are transverse grooves that appear simultaneously on all nails